Muscles are not involved in which glycogen storage disease:
1. I
2. II
3. III
4. IV

Correct answer: 1. I

Explanation: A i.e. I Type I glycogen storage disease (Von Gierke's) is due to deficiency of Glucose -- 6- phosphataseQ.As this enzyme is absent in muscle, so muscles are not affected in Glycogen storage disease type I.Q. It affects liver,kidney and intestine.